Ureters is lined by
1. Cuboidal epithelium
2. Columnar epithelium
3. Squamous epithelium
4. Transitional epithelium

Correct answer: 4. Transitional epithelium

Explanation: INDERBIR SINGH'S TEXTBOOK OF HUMAN HISTOLOGY-PAGE NO:318